Least cardiotoxic agent –
1. Isoflurane
2. Enflurane
3. Sevoflurane
4. Halothane

Correct answer: 1. Isoflurane

Explanation: Cardiac output is best maintained by Isoflurane by reflex tachycardia as it does not depress baroreceptor reflex → Most cardiovascular stable inhalational agent → Inhalational agent of choice for cardiac surgery.